Most common cause of lower respiratory tract infection in 3 year old child is -
1. Klebsella
2. H-influenza
3. Streptococcal pneumonia
4. Staphe aureus

Correct answer: 3. Streptococcal pneumonia

Explanation: Ans. is 'c' i.e., Streptococcal pneumonia Etiology of pneumonia Viral - RSV, Influenza, parainfluenza, adenovirus Responsible about 40% of casesBacteria - Seen in 2/3 of pheumoniaFirst 2 month -o Klebsellao Staphe aureus3 month - 3 year -o S. Pneumoniaeo H. Influenzao Staph aureusAfter 3 year -o 5. Pneumoniao Ataph aureus